Prevalence of a disease -
1. Is the best measure of disease frequency in etiological studies
2. Can only be determined by a cohort study
3. Is the number of new cases in a defined population
4. Describes the balance between incidence, mortality and recovery

Correct answer: 4. Describes the balance between incidence, mortality and recovery

Explanation: Ref : Parks 23rd edition pg 61 Prevalence values describe the balance between incidence, mortality and recovery. Increased incidence can increase prevalence. Increased mortality decreases prevalence. Increased recovery also decreases prevalence. Note : Incidence is the best measure of disease frequency in etiological studies (cohort study)